A 1 year old child presenting with abdominal mass and calcification on X – 
 rays is suggestive of :
1. Teratoma
2. Neuroblastoma
3. Wilms tumour
4. Rhabdomyosarcoma

Correct answer: 2. Neuroblastoma

Explanation: Both neuroblastoma and wilms tumor can present with abdominal mass and calcification.
But, at 1 year, it is most likely neuroblastoma.
The mean age of presentation of wilms tumor is 3 years.